Collagen in basement membrane -
1. Type I
2. Type II
3. Type III
4. Type IV

Correct answer: 4. Type IV

Explanation: Ans. is 'd' i.e., Type IV Collegen type Tissue distributionI-Ubiquitous in hard & soft tissuesII&1X-Cartilage, intervertebral disc, vitreousIII-Hollow organs & soft tissuesIV-Basement membraneV-Blood vesselsVI-Ubiquitous in microfibrilsVII-Dermoepidemal j unctionIX-Cartilage & Vitro us